A score of BIRADS- 0 on mammography indicates:
1. Negative for cancer
2. Benign
3. Low suspicious of malignancy
4. Needs additional imaging of prior examination

Correct answer: 4. Needs additional imaging of prior examination

Explanation: Final Assessment Categories Category Management Likelihood of cancer 0 Need additional imaging of prior examinations Recall for additional imaging and /or await prior examinations N/A 1 Negative Routine screening Essentially 0% 2 Benign Routine screening Essentially 0% 3 Probably Benign Short interval-follow-up (6 month) or continued >0% but< 2 % 4 Suspicious Tissue diagnosis 4a. low suspicion for malignancy (>2% to <10%) 4b. moderate suspicion for malignancy (>10% to< 50%) 4c. high suspicion for malignancy (>50% to <95%) 5 Highly suggestive of malignancy Tissue diagnosis > 95% 6 Known biopsy proven Surgical excision when clinical appropriate N/A